Cell culture Rabies vaccine is given at:
1. Medial part of thigh
2. Deltoid muscle
3. Anterior Abdomen
4. Lateral part of thigh

Correct answer: 2. Deltoid muscle

Explanation: Ans. B: Deltoid muscle A. Pre exposure prophylaxis of rabies: 1 mL on days 0, 7, and 21 or 28 Injections are given intramuscularly (deltoid) and must not be given in the buttock. A booster dose may be given as needed to maintain an adequate titer in persons working with live rabies virus in research laboratories and in vaccine production facilities. Rabies antibody titers should be checked every 6 mo. Laboratory workers, such as those doing rabies diagnostic tests, spelunkers, veterinarians, and animal control and wildlife officers in areas where rabies is epizootic should have boosters every 2 yr or have their serum tested for rabies antibody every 2 year. B. Postexposure Prophylaxis of rabies: Following administration of rabies immune globulin (RIG) on day 0, give 1 mL of rabies vaccine on days 0, 3, 7, 14, and 28 and a booster on day 90 Injections are given intramuscularly (deltoid) and must not be given in the buttock. If a previously immunized person vaccinated with a cell culture vaccine or who previously demonstrated rabies antibody is exposed to rabies, that person should receive 2 IM doses of 1 mL each, one immediately and one 3 days later. RIG should not be given.